Which of the following is the most important factor in the prevention of the endophthalmitis is cataract surgery?
1. Preoperative prepartion with povidone iodine
2. One week antibiotic therapy prior to sugery
3. Trimming of eyelashes
4. Use of intravitreal antibiotics

Correct answer: 1. Preoperative prepartion with povidone iodine

Explanation: A i.e. Preoperative preparation with povidone iodine